Centroacinar cells are present in
1. Pancreas
2. Parotid gland
3. Prostate
4. None

Correct answer: 1. Pancreas

Explanation: In addition to secretory cells, the alveoli of the exocrine pancreas contain centroacinar cells that are so called because they appear to be located near the centre of the acinusINDERBIR SINGH'S TEXTBOOK OF HUMAN HISTOLOGY-PAGE NO:300